Evans's syndrome refers to which of the follwoing?
1. Autoimmune hemolytic anemia with autoimmune neutropenia
2. Autoimmune hemolytic anemia with autoimmune thrombocytopenia
3. Autoimmune hemolytic anemia with marked bone marrow suppression
4. Autoimmune hemolytic anemia with hypersplenism

Correct answer: 2. Autoimmune hemolytic anemia with autoimmune thrombocytopenia

Explanation: In some cases, Autoimmune hemolytic anemia (AIHA) can be associated with autoimmune thrombocytopenia (Evans's syndrome). Reference: Harrisons Principles of Internal Medicine, 18th Edition, Page 881